Many factors affect tooth/cavity preparation. Which of the following would be the least important factor?
1. Extent of the defect.
2. Size of the tooth.
3. Fracture lines.
4. Extent of the old material.

Correct answer: 2. Size of the tooth.

Explanation: Obviously, a tooth preparation is dictated by the extent of the carious lesion or old restorative material, the creation of appropriate convenience form for access and vision, and the anticipated extensions necessary to provide an appropriate proximal contact relationship. Fracture lines present should normally be included in the restoration. However, it is rare that the size of the tooth will affect the design of the tooth preparation.